Superior colliculus is concerned cells
1. Olfaction
2. Hearing
3. Vision
4. Pain sensation

Correct answer: 3. Vision

Explanation: The superior colliculus (SC) is a midbrain area where visual, auditory and somatosensory information are integrated to initiate motor commands. The SC plays a central role in visual information processing in the mouse; it receives projections from 85% to 90% of the retinal ganglion cells (RGCs). Ref Harrison20th edition pg 2345